Which of the following is not true regarding gluten sensitive enteropathy ?
1. Also known as celiac sprue.
2. Anti gliadin antibodies are present
3. Consumption of Barley, Rice, Oat and wheat to avoided.
4. Cryptitis doesn't occur in gluten sensitive enteropathy.

Correct answer: 3. Consumption of Barley, Rice, Oat and wheat to avoided.

Explanation: Barley, Rice, Oat and wheat to avoided. Mnemonic BROW.